"Red nucleus" is present at
1. Base of pons
2. Midbrain, at level of superior colliculus
3. Midbrain, at level of inferior colliculus
4. Medial medulla

Correct answer: 2. Midbrain, at level of superior colliculus

Explanation: The red nucleus is diagnostic of midbrain division at the level of the superior colliculus; it lies between the occulomotor nucleus (CN III) and the substantia nigra. fig:- crossection at the level of Superior colliculus Midbrain